"Ewing's postulates" refers to :
1. Accidents as a cause of death.
2. Complication resulting from trauma.
3. The role of disease in modifying the effects of trauma.
4. Congenital anomalies caused by drugs.

Correct answer: 2. Complication resulting from trauma.

Explanation: Trauma can occasionally cause a new growth or cancer. For accepting trauma as a cause of new growth/cancer Ewing's postulate should be satisfied. According to this postulate: There must be evidence of previous site normal prior to normal The application of adequate trauma must be proved. There must be proof of reasonable time interval between injury and appearance of tumor. The disease must develop in the exact locality of the injury. The nature of the tumor must be proved by microscopy. Ref: Principles of Forensic Medicine and Toxicology By Rajesh Bardale page 251.